Migrating motor complexes are due to which Gastrointestinal hormone?
1. Gastrin
2. Motilin
3. CCK
4. VIP

Correct answer: 2. Motilin

Explanation: MMC is initiated by motilin, circulating levels of motilin increases at intervals of approximately 90-100 min in the interdigestive state Ref: Ganong 25th ed/page 497